The order of neurovascular bundle in the intercostal space from above downwards is:-
1. VAN
2. ANV
3. AVN
4. VNA

Correct answer: 1. VAN

Explanation: The spaces between the ribs contain three muscles of respiration: the external intercostal, the internal intercostal, and the transversus thoracis muscle.The intercostal nerves and blood vessels run between the intermediate and deepest layers of muscles. They are arranged in the following order from above downward: intercostal vein, intercostal artery, and intercostal nerve (i.e., VAN).